Which of the following is true regarding El Tor?
1. Resistant to polymyxin B
2. Higher chronic carrier state
3. Lower rate of secondary attack
4. All the above

Correct answer: 4. All the above

Explanation: El Tor is the name given to a particular strain of the bacterium Vibrio cholerae. El Tor is able to survive in the body longer than classical cholera vibrios. El Tor is able to survive in the body longer than classical choleravibrios. El Tor is transmitted by the fecal-oral route. People can become long-term carriers. Treatment of a cholera infection consists of replenishing lost fluid and electrolytes by intravenous or oral solutions, and by antibiotics. Resistant to polymyxin. El Tor is also resistant to classical phage IV and causes chick and sheep erythrocyte agglutination.